Which of the following syndrome is most commonly associated with clefts of lip and palate
1. Apert syndrome
2. Crouzon syndrome
3. Pierre-Robin syndrome
4. Down’s syndrome

Correct answer: 3. Pierre-Robin syndrome

Explanation: Although most clefts of the lip and palate occur as an isolated deformity, Pierre Robin sequence remains the most common syndrome.
This syndrome comprises of isolated cleft palate, retrognathia and a posteriorly displaced tongue (glossoptosis), which is associated with early respiratory and feeding difficulties.